IUCD with highest incidence of ectopic pregnancy is :
1. Lippe's loop
2. Copper T
3. Progestasert
4. All have equal incidence

Correct answer: 3. Progestasert

Explanation: Progestasert